In Wintrobe's method for ESR, anticoagulant used is -a)  Double oxalate b) EDTAc)  Trisodium citrated) Citrate
1. ac
2. a
3. ab
4. bc

Correct answer: 3. ab